All are true about gluteus maximus except
1. Supplied by superior gluteal nerve
2. Causes extension at hip
3. Insertion is at gluteal tuberosity
4. It is lateral rotator of thigh

Correct answer: 1. Supplied by superior gluteal nerve

Explanation: GLUTEUS MAXIMUS:- Origin : iliac crest (outer slope)Posterior gluteal line,posterior part of gluteal surface of ilium,Aponeurosis of erector spinae,dorsal surface of lower sacrum,side of coccyx, sacrotuberous ligament,fascia covering gluteus medius. Insertion: gluteal tuberosity Iliotibial tract Nerve supply: inferior gluteal nerve (L5,S1,S2)Action: chief extensor of thigh at hip joint Lateral rotation of thigh Abduction of thigh It supports both hip and knee when these joints are slightly flexed. Reference: BDC 6E pg no.68}